All are functions of Latissimus Dorsi except
1. External rotation of shoulder
2. Extension
3. Adduction
4. Medial rotation

Correct answer: 1. External rotation of shoulder

Explanation: External rotation of shoulder is mediated by the actions of muscles like posterior fibres of deltoid,infraspinatus and teres minor. B D Chaurasia 7th edition Page no : 65